True regarding anaemia of chronic disease are all except
1. Decreased TIBC
2. Increased macrophage iron in marrow
3. Decrease serum ferritin level
4. Decreased serum iron levels

Correct answer: 3. Decrease serum ferritin level